MMR is expressed in
1. Per 1,000 live birth
2. Per 10,000 live birth
3. Per Lac live birth
4. Per 10 Lac live Birth

Correct answer: 3. Per Lac live birth

Explanation: Maternal mortality ratio(Total no of female deaths due to complications of pregnancy, childbirth or within 42 days of delivery from puerperal causes in an area during a given year / Total no of live births in the same area and year) x 1000Maternal mortality ratio: Number of maternal deaths during a given time period per 100,000 live births during the same time period (Refer: K. Park's Textbook of Preventive and Social Medicine, 24th edition, pg no: 593 )